The pattern of disease in a community described in terms of the important factors which influence its occurrence is known as -
1. Epidemiology
2. Confounding factors
3. Iceberg of disease
4. Community diagnosis

Correct answer: 4. Community diagnosis

Explanation: Ans. is 'd' i.e., Community diagnosis o Community diagnosis is the identification of the health problems and needs of defined population. o Community diagnosis is designed to assist communities in developing a consesus about the priority health problems in their individual communities and developing strategies to address the issues identified.